Graze is a type of -
1. Bruise
2. Contusion
3. Laceration
4. Abrasion

Correct answer: 4. Abrasion

Explanation: The synopsis of forensic medicine & toxicology ; Dr k.s narayan reddy ; 28th edition ; pg.no . 105 Grazes (sliding ,scrapping or grinding abrasion) they occur when there is horizontal or near horizontal movement between the skin & some rough surface in contact with it .